Virulence factors of Staphylococcus aureus include all of the following except one. Which one is the exception?
1. Beta-lactamases
2. Coagulase
3. Enterotoxins
4. M Protein

Correct answer: 4. M Protein

Explanation: M proteins are virulence factors of group A Streptococci (Streptococcus pyogenes). All of the other listed virulence factors may be found routinely in S. aureus bacteria.